After birth which of the following changes occur in the fetus?
1. The foramen ovale closes allowing the entire blood volume to circulate into the pulmonary vein
2. Lung fluid is forced out of the fetal alveoli with the first few breaths
3. The ductus arteriosus opens
4. The umbilical vein and artery remain functional for several weeks

Correct answer: 2. Lung fluid is forced out of the fetal alveoli with the first few breaths

Explanation: - The foramen ovale closes allowing the entire blood volume to circulate into the pulmonary artery - The foramen ovale, the ductus arteriosus and the umbilical veins and arteries close within a few hours of birth. - Lung fluid is forced out of the fetal alveoli with the first few breaths